A patient developed paraplegia. On routine examination and X-ray it was found that there are osteoblastic lesion in his spine. Most probable diagnosis is
1. Carcinoma thyroid
2. Ca. Prostate
3. Renal cell Ca
4. Pancreatic Ca.

Correct answer: 2. Ca. Prostate

Explanation: Ans. is 'b' i.e Ca prostate Metastasis in bone may produce osteolytic lesion or osteoblastic (osteogenesis) lesion. Most metastatic lesions produce both types of lesions and may go through stages where one or other predominate, Although some tumors mainly produce osteolytic lesion---- Renal cell Ca*. And some mainly osteoblastic ----Prostate Ca*. Also know Bone metastasis is most common from-----Ca Breast* Ca prostrate* Bone metastasis is most common in -----vertebrae*, Pelvis, Rib, Proximal femur.